A 7 week pregnant lady underwent a Chest X ray by mistake, what is to be done?
1. Immediate Termination of Pregnancy
2. Do Preinvasive Test
3. Do Chromosomal Testing
4. Continue Pregnancy

Correct answer: 4. Continue Pregnancy

Explanation: In general,radiation exposureduring radiography delivers adose much lowerthan that associated with fetal harm. Thus continue Pregnancy in above case